Enzyme-deficient in Alkaptonuria
1. Phenylalanine hydroxylase
2. Cystathionine synthase
3. Homogentisic acid oxidase
4. Tyrosinase

Correct answer: 3. Homogentisic acid oxidase